For greatest retention of the porcelain veneer, the coping design should be
1. Convex with undercuts
2. Convex with no undercuts
3. Convex with sharp angles
4. Concave on facial surface

Correct answer: 2. Convex with no undercuts